Thanatology deals with the study of:
1. Death
2. Poison
3. Snakes
4. Finger prints

Correct answer: 1. Death

Explanation: Death